Golf hole ureter is seen in
1. Ureteric stricture
2. Tuberculosis of ureter
3. ureteocoele
4. Ormond’s disease

Correct answer: 2. Tuberculosis of ureter

Explanation: Tb will cause golf hole ureter causing reflex. TB will also give rise to cement kidney , thimble bladder , watermelon prostate.